Blaschko's lines implies the lines of
1. Melanocyte migration
2. Ectodermal cell migration
3. Mesodermal cell migration
4. Endodermal cell migration

Correct answer: 2. Ectodermal cell migration

Explanation: LINES OF BLASCHKO The lines of Blaschko are a pattern of lines on the skin that represent the developmental growth pattern during epidermal cell migration. The lines are distinguished from other morphological lines of the skin and do not represent vascular, lymphatic or nervous structures. Ref:- American osteopathic college of Dermatology